Which of the following is not an antacid drug:
1. Aluminium hydroxide
2. Magnesium sulphate
3. Sodium bicarbonate
4. Calcium carbonate

Correct answer: 2. Magnesium sulphate

Explanation: Ans. B: Magnesium sulphate Examples of antacids Aluminium hydroxide Magnesium hydroxide, magnesium trisilicate (Phillips' Milk of Magnesia) Aluminum carbonate gel Calcium carbonate Sodium bicarbonate, Sodium citrate Bismuth subsalicylate Magaldrate